Which of the following will cause post operative haemorrhage?
1. Salicylates
2. Liver cirrhosis
3. Prolonged antibiotic administration
4. All of the above

Correct answer: 4. All of the above